Calcium channel ryanodine receptor:disorder is seen in:
1. Malignant hyperthermia
2. Duchene Muscular Dystrophy
3. Tibial muscular dystrophy
4. Limb girdle muscle dystrophy

Correct answer: 1. Malignant hyperthermia

Explanation: Answer is A (Malignant Hyperthermia): Malignant hyperthermia is associated with mutations within the gene encoding the skeletal muscle ryanodine receptor, the calcium channel that releases calcium from sarcoplasmic reticulum. Disordered muscle calcium regulation is recognized as the underlying disorder in malignant hyperthermia. Ryanodine receptor is the calcium channel on the sarcoplasmic reticulum which controls the flux of calcium from the sarcoplasmic reticulum into the cytoplasm. It plays an important role in the activation of the contractile mechanism, and its malfunction causes malignant hyperthermia. RYR1 is the receptor type in muscle. The ryanodine receptor interacts with an L-tvpe calcium channel. Mutations in the ryanodine receptor are associated with central core myopathy and malignant hyperthermia.